Gamma Rays Are used in which Diagnostic Modality ?
1. Fluoroscopy
2. CT Scan
3. MRI
4. Bone scan

Correct answer: 4. Bone scan

Explanation: Gamma Rays are used in Radioisotope studies/scintigraphy studies Bone scan is a radioisotope study done using Tc99m -MDP to detect skeletal metastasis Fluoroscopy and CT scan uses Xrays Radiowaves are used in MRI